Raised AFP's is typically seen in -
1. Hepatitis
2. Seminoma
3. HCC
4. All of the above

Correct answer: 3. HCC

Explanation: Harshmohan textbook of pathology 7th edition alpha feto protein is a glycoprotein synthesized normally by fetal liver cells. Their serum levels are elevated in hepatocellular carcinoma and non seminomatous germcell tumours of the testis. .